Least absorption out of the following through the kidney is for
1. Glucose
2. Urea
3. Na
4. HCO3

Correct answer: 2. Urea

Explanation: Urea is minimally absorbed. Ref: guyton and hall textbook of medical physiology 12 edition page number:491,492,493